Amputation is often not required in:
1. Gas gangrene
2. Buerger's
3. Chronic osteomyelitis
4. diabetic gangrene

Correct answer: 3. Chronic osteomyelitis

Explanation: Ans. is 'c' i.e., Chronic Osteomyelitis Amputation is performed in chronic Osteomyelitis, very rarely; in a case with a long standing discharging sinus, especially if the sinus undergoes a malignant change.